Which is the nerve passing through medial epicondyle?
1. Ulnar
2. Radial
3. Median
4. Posterior interosseus

Correct answer: 1. Ulnar

Explanation: Ans. A UlnarRef: BDC 6th ed. vol. I pg. 93; Gray, 822, 29, 37* Nerve passing through medial epicondyle is ulnar nerve. Very often when we hit our elbow on any surface, the current like feeling in arm, is due to ulnar nerve injury.* Medial epicondyle fracture causes injury to ulnar nerve.# Ulnar nerve palsy causes partial claw hand.# Claw hand-sensory loss of medial 11/2 digits.# Weakness of grip (paralysis of intrinsic muscle)# Loss of flexion of MCP (lumbricals and interossei)# Loss of adduction of thumb